The following are true of haemorrhoids except -
1. They are arteriolar dilatations
2. They are common causes of painless bleeding
3. They cannot be per rectally palpated
4. They can be banded

Correct answer: 1. They are arteriolar dilatations